0.9% sodium chloride contains ----- mmol/L of sodium
1. 154
2. 145
3. 131
4. 130

Correct answer: 1. 154

Explanation: 0.9% Sodium Chloride Injection, USP contains 9 g/L Sodium Chloride (sodium chloride (sodium chloride injection), USP (NaCl) with an osmolarity of 308 mOsmol/L. It contains 154 mEq/L sodium and 154 mEq/L chloride.